Mural thrombi are thrombi 
in
1. Heart chamber
2. Valve cusp
3. Vein
4. Arteries

Correct answer: 1. Heart chamber